A 22 yrs old male suffers from decreased sleep, increased sexual activity, excitement and spending excessive money for last 8 days. The diagnosis is:
1. Confusion
2. Mania
3. Hyperactivity
4. Loss of memory

Correct answer: 2. Mania

Explanation: This patient with decreased sleep, increased goal directed activities and excessive involvement in pleasurable activities most likely having manic episode. The symptomatic profile of the patient suggests the diagnosis of mania are, Inflated self-esteem or grandiosity Decreased need for sleep (e.g., feels rested after only 3 hours of sleep) More talkative than usual or pressure to keep talking Flight of ideas or subjective experience that thoughts are racing Distractibility (i.e., attention too easily drawn to unimportant or irrelevant external stimuli) Increase in goal-directed activity (either socially, at work or school, or sexually) or psychomotor agitation Excessive involvement in pleasurable activities that have a high potential for painful consequences (e.g., engaging in unrestrained buying sprees, sexual indiscretions, or foolish business investments) During the period of mood disturbance, three (or more) of the above symptoms have persisted (four if the mood is only irritable) and have been present to a significant degree. Ref: Brent D.A., Pan R.J. (2008). Chapter 39. Bipolar Disorder. In M.H. Ebert, P.T. Loosen, B. Nurcombe, J.F. Leckman (Eds), CURRENT Diagnosis & Treatment: Psychiatry, 2e.